37 weeks primigravida presents with irregular uterine contractions, on examination the cervix is 1cm dilated and poorly effaced, management is
1. Cesarean section
2. Amniotomy
3. Oxytocin drip
4. Sedation and wait

Correct answer: 4. Sedation and wait

Explanation: The Uterine activity that causes discomfort, but that does not represent true labor, may develop at any time during pregnancy. False labor often stops spontaneously, or it may proceed rapidly into effective contractions. Sedation can be given and watch for some time. The patient may proceed into true labor or pain may subside.Ref: William's Obstetrics; 24th edition